Hospital waste product accounts
1. Paper: 40%
2. Plastic:10%
3. Infectious waste: 30%
4. Rage: 30%

Correct answer: 2. Plastic:10%

Explanation: The average composition of hospital wastes in India is: - 15% rags -15% - 10% metals- 1% infectious wastes-1.5% -4% wastes-53.5% Reference : Park's textbook of preventive and social medicine, 23rd edition, pg no:790, table 2